Antischkow cells seen in all except
1. Systemic sclerosis
2. Rheumatic Fever
3. Iron def Anemia
4. Recurrent aphthous stomatitis

Correct answer: 1. Systemic sclerosis

Explanation: Anitschkoff cell are also k/a caterpillar cell because their nuclear material is clumped in a wavy form. Conditions it can be seen in are: Rheumatic Fever Recurrent aphthous stomatitis Iron deficiency anemia Megaloblastic anemia Sickle cell anemia ANITSCKOFF CELLS. Systemic sclerosis is characterized by: (1) chronic inflammation thought to be the result of autoimmunity (2) widespread damage to small blood vessels (3) progressive interstitial and perivascular fibrosis in the skin and multiple organs.